Sandfly can fly upto -
1. 50 yards
2. 100 yards
3. 200 yards
4. 300 yards

Correct answer: 1. 50 yards

Explanation: Sandflies Sansflies are troublesome nocturnal pests. They are incapable of flying over long distances. They merely hop about from one place to another. Sandflies are generally confined to within 50 yards. REFERENCE: PARK'S TEXTBOOK OF PREVENTIVE AND SOCIAL MEDICINE, 25TH EDITION, PG NO. 835